Causes of eosinophilia -a)  Hodgkin's diseaseb)  Filariasisc)  MId)  HIV infection
1. acd
2. bcd
3. abd
4. ab

Correct answer: 3. abd

Explanation: Conditions producing allergic reactions and resulting eosinophilia are:

Drugs: Iodides, Aspirin, Sulfonamides, Nitrofurantoin, Penicillins, Cephalosporins.
Disease conditions: Hay fever, Asthma, Eczema, Serum sickness, Allergic vasculitis, Pemphigus, All types of parasitic infections.
Collagen vascular diseases: RA, Eosinophilic fasciitis, Allergic angiitis, Polyarteritis nodosa.
Malignancy: Hodgkin’s disease, Mycosis fungoides, CML, Carcinoma of stomach, ovary, lung, Pancreas and uterus.
Other diseases: Job’s syndrome, Sarcoidosis, Skin disease.
Viral infection like HIV and human T-cell Iymphotropic virus (HTLV-l).